A 3 year old child suffers from burn injury with the following body parts involved: face including scalp, both buttocks and circumferentially around both thighs. How much is TBSA involved?
1. 0.25
2. 0.26
3. 0.35
4. 0.45

Correct answer: 3. 0.35

Explanation: Using Modified Lund-Browder chart: